Complication, which results in mortality, in carcinoma cervix:
1. Bleeding
2. Infection
3. Renal failure
4. Weight loss

Correct answer: 3. Renal failure

Explanation: Ans. C i.e. Renal failure Carcinoma cervix Arises from: Squamo-columnar junction Earliest symptom: Post-coital bleeding MC site: Ectocervix MC agent: Human Papilloma Virus 16 Other type of HPV which are associated with cervical Ca: HPV 18, 31, 45, 51, 52 and 53 Predisposing factors: HPV, HSV and HIV infections Lymph nodes affected: Obturator, hypogastric and external iliac Time taken for conversion of CIN to invasive Ca: 10 years MC type: Squamous cell Ca Best method for diagnosing: Cervical biopsy 100% cure rates are seen in: CIS MC cause of death: Renal failure Best method of screening: Pap smear Management of stage II (disease extends beyond cervix, but not to the pelvic wall/ lower third of vagina): - Extended hysterectomy, - Chemotherapy and - Intracavitary brachytherapy Stage III is: Disease extends to the pelvic wall or lower third of the vagina or causes hydronephrosis Management of stage IIIB: - Radiotherapy and - Chemotherapy